Keratitis is caused by -
1. Bacteria
2. Atopy
3. Protozoa
4. All

Correct answer: 4. All

Explanation: Ans. is 'd' i.e., AH Causes of keratitisInfective keratitisBacterialViralFungalChlamydialProtozoalSpirochaetalAllergic keratitisPhlyctenular keratitisVernal keratitisAtopic keratitisTrophic keratitisExposure keratitisNeuroparalytic keratitisKeratomalaciaAtheromatous ulcerKeratitis associated with diseases of skin and mucous membrane.Keratitis associated with systemic collagen vascular disorders.Traumatic keratitis, which may be due to mechanical trauma, chemical trauma, thermal burns, radiations.Idiopathic keratitis e.g.,Mooren's comeal ulcerSuperior limbic keratoconjunctivitisSuperficial punctate keratitis of Thygeson